The MOST common site of Tuberculosis in female genital tract is?
1. Cervix
2. Endometrium
3. Ovaries
4. Fallopian tubes

Correct answer: 4. Fallopian tubes

Explanation: The fallopian tube is the most frequently involved part of the genital tract in tuberculosis. Also Know: A young girl with pubertal menorrhagia should be investigated for genital tuberculosis if she fails to respond to standard hormonal therapy. Ref: Shaw's Textbook of Gynaecology, 13th Ed, page 147; 14th Ed, page 137.